Virulence or pathogenicity of pneumococcus depends upon-
1. Capsular polysaccharide
2. Cell wall antigen
3. Flagellar antigen
4. Fimbrial antigen

Correct answer: 1. Capsular polysaccharide

Explanation: Ans. is 'a' i.e., Capsular polysaccharide